Renin is secreted from:
1. Juxtaglomerular apparatus
2. PCT
3. DCT
4. Collecting ducts

Correct answer: 1. Juxtaglomerular apparatus